The WHO was set up in-
1. 1929
2. 1946
3. 1948
4. 1952

Correct answer: 3. 1948

Explanation: Ans. is 'c' i.e., 1948